3 year old male patient comes with complaints of only one testis in the scrotum. On examination right testis is felt at inguinal canal. What is the preferred treatment
1. Wait till puberty
2. Androgens
3. Orchidectomy
4. Orchidopexy

Correct answer: 4. Orchidopexy

Explanation: This is a case of undescended testis.
Normal testis will not descend after 6 months of age.